Tuberculosis lymphadenitis of the cervical lymphnodes is also called:
1. Pott's disease
2. Lupus vulgaris
3. Scrofula
4. Ghon's focus

Correct answer: 3. Scrofula